The shortest diameter of fetal skull is :
1. Sub occipito frontal
2. Sub mentobregmatic
3. Mento vertical
4. Submentovertical

Correct answer: 2. Sub mentobregmatic

Explanation: Sub mentobregmatic